Apple peel bowel with loss of dorsal mesentery is feature of which type of ileal atresia:
1. Type 1
2. Type 2
3. Type 3
4. Type 4

Correct answer: 3. Type 3

Explanation: Classification of Intestinal Atresia Type I Membranous atresia with intact bowel and mesentry Type II Blind ends seperated by a fibrous cord Type IIIa Blind ends seperated by a V-shaped mesenteric defect Type IIIb Apple peel atresia or Christmas tree atresia Type IV Multiple atresias (string of sausages) Ref: Sabiston 20th edition Pgno: 1871